In Lipooxygenase pathway, the formation of the arachidonic acids products which of the following helps in vasoconstriction and increased vascular permeability -
1. C5a
2. Thromboxane A2
3. Leukotriene D4
4. C, activators

Correct answer: 3. Leukotriene D4

Explanation: Ans- C Leukotriene D4